Laurence moon biedle syndrome-Associated with?
1. Polydactyly
2. Intellectual disability
3. Retinitis pigmentosa
4. All of above

Correct answer: 4. All of above

Explanation: Ans. is 'd' i.e., All of above Laurence-Moon-Biedl syndrome is characterized by: Obesity Polydactyly Intellectual disability Hypogonadotropic hypogonadism Retinitis pigmentosa